After an Extra capsular cataract extraction, spectacles can be prescribed at
1. 3 weeks
2. 6 weeks
3. 10 weeks
4. 14 weeks

Correct answer: 2. 6 weeks

Explanation: After an ECCE, the spectacle correction can be done at 6 weeks which is how long it takes for the corneo-scleral wound to heal and for refraction to be stable. If the post operative course is normal sutures to be removed at 3-4 weeks.